Chloroma is
1. Lymphoma
2. Leukemia
3. Sarcoma
4. Carcinoma

Correct answer: 2. Leukemia